Most common complication of acute Otitis media in children:
1. Deafness
2. Mastoiditis
3. Cholesteatoma
4. Facial nerve palsy

Correct answer: 2. Mastoiditis

Explanation: (b) Mastoiditis(Ref. Cummings, 6th ed., 2157; Scott Brown, 8th ed., Vol 2; 972)This is the most common complication following ASOM.Facial nerve palsy is an uncommon complication of ASOMDeafness (along with Pain and ear discharge) is the presenting feature of ASOMCholesteatoma is not associated with ASOM.